Pseudoisomorphic phenomenon is seen in –
1. Psoriasis
2. Lichen planus
3. Vitiligo
4. Plane warts

Correct answer: 4. Plane warts